Which of the following part is NOT included in hypopharynx?
1. Pyriform sinus
2. Post cricoid region
3. Anterior pharyngeal wall
4. Posterior pharyngeal wall

Correct answer: 3. Anterior pharyngeal wall

Explanation: Clinically, hypopharynx is subdivided into three regions :-


The pyrifornt sinus
Post-cricoid region
The posterior pharyngeal wall